In tooth numbering system 55 indicates
1. Permanent right Maxillary 1st Premolar
2. Permanent left Maxillary 1st Premolar
3. Deciduous right Maxillary 1st Molar
4. Deciduous right Maxillary 2nd Molar

Correct answer: 4. Deciduous right Maxillary 2nd Molar